CASPAR criteria is used in diagnosis of :
1. Psoriatic arthritis
2. Rheumatoid arthritis
3. Ankyosing spondylitis
4. Reactive synovitis

Correct answer: 1. Psoriatic arthritis

Explanation: CASPAR Criterion for Psoriatic Arthritis To be classified as having PsA, a patient must have inflammatory joint disease (joint, spine, enthesitis) with >= 3 of the following 5 criteria. 1. Evidence of psoriasis (One of these) a. Current psoriasis b. Personal history c. Family history 2. Psoriatic nail dystrophy 3. Negative RF 4. Dactylitis (One of a, b) a. Current b. History 5. Radiological evidence of Juxta-articular new bone formation.